The most common accessory pathways leading to WPW syndrome is:
1. Left free wall
2. Posteroseptal
3. Right free wall
4. Anteroseptal

Correct answer: 1. Left free wall

Explanation: Answer is A (Left free wall) Left free wall accessory pathways are most common. 'Left free wall accessary pathways are most common followed by posteroseptal, right free wall and anteroseptal locations ' -'Braunwald Heart Diseases: Review & Assessment' by Lilly (2012)/Q249 The most common accessary pathway connects the left atrium to the left ventricle followed by posterior septal, right free wall and anterior septal accessary pathways'